Which of the following is associated with poor prognosis in acute pancreatitis :
1. Hypocalcaemia
2. Hypercalcemia
3. Hypernatremia
4. All

Correct answer: 1. Hypocalcaemia

Explanation: Ans. is 'a' i.e. hypocalcemia